Glossopharyngeal nerve supplies:
1. Glossopharyngeus muscle
2. Stylopharyngeus muscle
3. Anterior 2/3 of the tongue
4. All of the above

Correct answer: 2. Stylopharyngeus muscle

Explanation: Ans. (b) Stylopharyngeus muscle* Cranial nerve IX (glossopharyngeal nerve) is a mixed nerve that carries afferent sensory and efferent motor information.Functions* Branchial motor: supplies the stylopharyngeus muscle* Visceral motor: provides parasympathetic innervations to the parotid gland* Visceral sensory: carries visceral sensory information from the carotid sinus and carotid body.* General sensory: provides general sensory information from the skin of the external ear internal surface of the tympanic membrane, upper pharynx and the posterior one-third of the tongue.* Special sensory: provides taste sensation from the posterior one-third of the tongue including circumvallate papillae.